Boundaries of anatomical snuff box are all except
1. APL
2. EPL
3. EPB
4. ECU

Correct answer: 4. ECU

Explanation: The anatomical snuff box - It is a triangular depression which appears on the lateral side of the wrist. It is seen best when the thumb is extended. bounderies - It is bounded anteriorly - By the tendons of abductor pollicis longus and extensor pollicis brevis, and posteriorly - By the extensor pollicis longus. It is limited above by the styloid process of the radius and floor of snuff box is formed by the scaphoid and trapezium. Pulsations of the radial artery can be felt in the floor of the depression against the scaphoid and trapezium. Ref : B D Chaurasia's Human Anatomy , seventh edition , pg. no., 136